A child on beta-2-agonist for treatment of bronchial asthma may exhibit all of the following features except?
1. Tremors
2. Hypoglycemia
3. Hypokalemia
4. Bronchodilation

Correct answer: 2. Hypoglycemia

Explanation: Hypoglycemia. Beta-2-agonist are the inhand bronchodilators used for the management of bronchial asthma. Tremor is a dose-related adverse effect of these drugs. Breif hyperkalemia followed by hypokalemia is an important adverse effect of these agents. Do not cause hypoglycemia.